GCS minimum value
1. 3
2. 6
3. 0
4. 4

Correct answer: 1. 3

Explanation: Answer- A. 3Glasgow coma scale is used to determine the conscious level of the patient.Ranges from 3 to 15.